The perivascular space (Virchow-Robin space) in the brain is formed between the wall of small penetrating vessels and which structure?
1. Dura mater
2. Arachnoid membrane
3. Pia mater
4. Choroid plexus

Correct answer: 3. Pia mater

Explanation: The perivascular space (Virchow- Robin space) is formed between the outer wall of small vessels penetrating into the brain and the pia mater, which lines the outer surface of the brain and is only loosely attached to the brain. It is an extension of the subarachnoid space which separates penetrating vessels from brain tissue.